Select the ovarian tumor which is frequently associated with virilization (SELECT 1 TUMOR)
1. Granulosa tumor
2. Sertoli-Leydig cell tumor
3. Immature teratoma
4. Gonadoblastoma

Correct answer: 2. Sertoli-Leydig cell tumor

Explanation: Sertoli-Leydig cell tumors, which represent less than 1% of ovarian tumors, may produce symptoms of virilization. Histologically, they resemble fetal testes; clinically, they must be distinguished from other functioning ovarian neoplasms as well as from tumors of the adrenal glands, since both adrenal tumors and Sertoli-Leydig tumors produce androgens. The androgen production can result in seborrhea, acne, menstrual irregularity, hirsutism, breast atrophy, alopecia, deepening of the voice, and clitoromegaly. Recurrences of Sertoli-Leydig cell tumors, which seem to have a low malignant potential, usually appear within 3 years of the original diagnosis. Granulosa and theca cell tumors are often associated with excessive estrogen production, which may cause pseudoprecocious puberty, postmenopausal bleeding, or menorrhagia. These tumors are associated with endometrial carcinoma in 15% of patients. Because these tumors are quite friable, affected women frequently present with symptoms caused by tumor rupture and intraperitoneal bleeding. Granulosa tumors are low-grade malignancies that tend to recur more than 5 years after the initial diagnosis. Because their malignant potential is impossible to predict histologically, long-term follow-up is mandatory. Recurrences have been reported as late as 33 years after the original diagnosis. Gonadoblastomas frequently contain calcifications that can be detected by plain radiography of the pelvis. Women who have gonadoblastomas often have ambiguous genitalia. The tumors are usually small, and are bilateral in one-third of affected women. The malignant potential of immature teratomas correlates with the degree of immature or embryonic tissue present. The presence of choriocarcinoma can be determined histologically as well as by human chorionic gonadotropin (hCG) assays. The presence of choriocarcinoma in an immature teratoma worsens the prognosis. Krukenberg tumors are typically bilateral, solid masses of the ovary that nearly always represent metastases from another organ, usually the stomach or large intestine. They contain large numbers of signet ring adenocarcinoma cells within a cellular hyperplastic but nonneoplastic ovarian stroma.